Which one of the following conditions is associated with Soemmering's ring?
1. After cataract
2. Keratoconus
3. Wilson's disease
4. Uveitis

Correct answer: 1. After cataract

Explanation: After cataract is also known as secondary cataract. It is the opacity which persists or develops after any form of planned or accidental extracapsular lens extraction. It may present as thickened posterior capsule or a dense membranous after cataract or Soemmering's ring which refers to a thick ring of after cataract formed behind the iris, enclosed between the two layers of capsule or Elschnig's pearls in which the vacuolated subcapsular epithelial cells are clustered like soap bubbles along the posterior capsule.